IX, X and XI cranial nerves are transmitted through:
1. Foramen lacerum
2. Foramen magnum
3. Foramen ovale
4. Jugular foramen

Correct answer: 4. Jugular foramen

Explanation: Jugular foramen:
It is a large elongated foramen at the posterior end of the petro-occipital suture. Its anterior wall is hollowed out to form the jugular fossa.
The jugular foramen transmits the following structures.

Through the anterior part: a. Inferior petrosal sinus b. Meningeal branch of the ascending pharyngeal artery.
Through the middle part: IX, X and Xl cranial nerves.
Through the posterior part: a. Internal jugular vein. b. Meningeal branch of the occipital artery.